Hcg can be estimated earliest by :
1. Radioimmunoassay
2. ELISA.
3. Radioreceptor assay
4. Bloassay

Correct answer: 1. Radioimmunoassay

Explanation: Radioimmunoassay is more sensitive and can detect ss subunit of hCG up to 0.002 IU/ml in the serum. It can detect pregnancy as early as 8-9 days after ovulation. Reference:DC Dutta's Textbook of obstetrics,8th edition,page no:76